Epleronone is:
1. Aldosterone antagonist
2. Can cause hyperkalemia in predisposed patients
3. A diuretic
4. All of these

Correct answer: 4. All of these

Explanation: Epleronone is an aldosterone antagonist (like spironolactone). It is used as potassium sparing diuretic and can cause hyperkalemia in susceptible individuals particularly in the patients on ACE inhibitors.